Which of the following is not true about principal hormonal responses to surgical stress?
1. Increased level of ACTH
2. Increased level of growth hormone
3. Decreased level of insulin
4. Increased level of thyroxine

Correct answer: 4. Increased level of thyroxine

Explanation: Ans is 'd' i.e., Increased level of thyroxine * Following table depicts the hormonal changes in a patient following the surgical stress:Principal Hormonal Responses to Surgical StressEndocrine glandHormonesChange in secretionAnterior pituitaryACTHIncreased Growth hormoneIncreased TSHViriable FSH/LHVariablePosterior pituitaryAVPIncreasedAdrenal cortexCortisolIncreased AldosteroneIncreasedPancreasInsulinDecreased GlucagonIncreasedThyroidThyroxineDecreased T riiodothyronineDecreasedACTH, adrenocorticotropic hormone; TSH, thyroid-stimulating hormone; FSH, follicle- stimulating hormone; LH, luteininzing hormone; AVP, arginine vasopressin.